Which one of the following statements about non insulin dependent diabetes mellitus (NIDDM) is NOT true-
1. Circulating islet cell antibodies are usually found
2. There is no HLA associaton
3. Ketosis is rare
4. Relative resistance to insulin is present

Correct answer: 1. Circulating islet cell antibodies are usually found

Explanation: Circulating islet cell antibodies are usually found in Insulin Dependent Diabetes Mellitus (IDDM). Non insulin dependent diabetes mellitus (NIDDM) has no HLA association unlike IDDM which is associated with HLA haplotypes DR3 and/or DR4. Ketosis is rare in NIDDM whereas hyperglycemic hyperosmolar state (HHS) is more common. NIDDM is a heterogeneous group of disorders characterized by variable degrees of insulin resistance, impaired insulin secretion, and increased glucose production.